Structure passing through both greater and lesser sciatic foramen is ?
1. Pudendal nerve
2. Sciatic nerve
3. Superior gluteal nerve
4. Inferior gluteal nerve

Correct answer: 1. Pudendal nerve

Explanation: Ans. is 'a' i.e., Pudendal nerve Three structures pass through both greater and lesser sciatic foramen :- Pudendal nerve Internal pudendal vessels Nerve to obturator internus Structure passing throught greater sciatic foramen Piriformis fills the foramen almost completely Structures passing above the piriformis Superior gluteal nerve Superior gluteal vessels Structures passing below the piriformis Inferior gluteal nerve Inferior gluteal vessel. Sciatic nerve Posterior cutaneous nerve of thigh Nerve to quadratus femoris Pudendal nerve Internal pudendal vessels Nerve to obturator internus Note : Last three structures also enter the lesser sciatic foramen. Structures passing through lesser sciatic foramen Pudendal nerve Internal pudendal vessels Nerve to obturator internus